Most commonly affected peripheral nerve in leprosy is ?
1. Ulnar
2. Radial
3. Medial
4. Lateral Popliteal

Correct answer: 1. Ulnar

Explanation: Ans. is 'a' i.e., Ulnar Although any peripheral nerve may be enlarged (including small digital and supraclavicular nerves), those most commonly affected are the ulnar, posterior auricular, peroneal, and posterior tibial nerves, with associated hypesthesia and myopathy.- Harrison 17/e